The pearl index indicates teh number of accidental pregnancies per -
1. 1000 population
2. 100 live births
3. 100 women in the age group of 15 to 44 years
4. 100 women years

Correct answer: 4. 100 women years

Explanation: park's textbook of preventive and social medicine 23rd edition. *pearl index is defined as the no of failure per 100 women year of exposure.